A woman on OC pills forgets to take 3 pills in a 3rd week of cycle, what to do next?
1. Continue the same pack
2. Take all the missed pills and continue the pack
3. Start a new pack immediately
4. Finish only the hormonal pills and start a new pack next day

Correct answer: 4. Finish only the hormonal pills and start a new pack next day

Explanation: A woman who misses any number of hormonal pills should take a hormonal pill as soon as possible and then continue taking one pill each day.It is particularly important to avoid extending the gap between taking hormonal pills. Therefore, if a woman misses three or more hormonal pills during the third week of the pill pack, she should finish only the hormonal pills in that pack and then start a new pack on the next day. She should throw away all the reminder pills. If a woman misses three or more hormonal pills in the first week of the pill pack and has had unprotected sex, the Expert Working Group advises that she may wish to consider using emergency contraception, because the risk of pregnancy in such a case could be substantial. In addition, since the reminder pills do not contain hormones, a woman who misses any number of reminder pills simply should throw away the missed reminder pills and continue taking one pill each day. The 2004 Expert Working Group considered three to be the critical number of missed pills that should prompt women to take extra precautions.Reference: WHO guidelines